Features of congenital syphilis are-
a) Snuffles is late manifestation
b) Perforation in cartilaginous part of nose
c) Mulberry molar
d) Saddle nose deformity
1. abc
2. bcd
3. acd
4. abd

Correct answer: 2. bcd